SnRNA mutation is associated with which syndrome ?
1. Turner syndrome
2. Prader Willi syndrome
3. Klinefelter syndrome
4. Patau syndrome

Correct answer: 2. Prader Willi syndrome

Explanation: Answer- B. Prader Willi syndromeThe syndrome has been linked to the deletion of a region of paternal chromosome 15 that is not expressed on the maternal chromosome (Genomic imprinting). This region includes a brain-specific snRNA that targets the serotonin-2C receptor mRNA.